Best investigative modality for gall bladder -
1. OCG
2. PTC
3. Ultrasound
4. Intravenous cholangiogram

Correct answer: 3. Ultrasound